CSF otorrhoea is caused by ?
1. Rupture of tympanic membrane
2. Fracture of cribriform plate
3. Fracture of parietal bone
4. Fracture of petrous temporal bone

Correct answer: 4. Fracture of petrous temporal bone

Explanation: CSF otorrhea CSF otorrhea, i.e., leakage of cerebrospinal fluid through ear structure, is a rare but potentially life threatening situation that requires rapid intervention. The underlying etiology of spinal fluid leak through temporal bone is a violation of the bony and meningeal barriers that separate the subarachoid space from the middle ear and mastoid. This means that a defect must exist not only in the bone, but also in the dura matter. Causes of CSF otorrhea are : ? 1) Congenital : - Defect in otic capsule. 2) Acquired : - More common than congenital and cause are : - Surgery : - Post-operative leakage is the most common cause of CSF otorrhea. Surgical causes are acoustic neuroma removal, skull base surgeries and sometimes mastoid surgery. Trauma : - Fracture of petrous part of temporal can lead to CSF otorrhea. Infection 3) Spontaneous : - It is without an obvious antecedent pathology. There may be some defect in the temporal bone.